True about hot flush is all except
1. Hot flush lasts for 1 to 5 minutes.
2. Skin temperature rises due to peripheral vasodilation.
3. Systolic blood pressure drops.
4. Heart rate rises.

Correct answer: 3. Systolic blood pressure drops.

Explanation: SBP increases (both awake and sleep) during hot flushes.